The process used to prevent the recircularization of the stick ends of DNA is:
1. Homopolymer tailing
2. Ligation by restriction endonucleases
3. Transfection
4. All of the above

Correct answer: 1. Homopolymer tailing

Explanation: The process used to prevent the recircularization of the stick ends of DNA is Homopolymer tailing Homopolymer tailing Involves adding a series of nucleotides on the 3'OH termini of a double-stranded DNA molecule using enzyme terminal deoxynucleotidyl transferase. Homopolymer tail is produced in the presence of one deoxynucleotide. Prevents recircularization of the stick ends of DNA For ligation of two tailed molecules, the homopolymers must be complementary.